Complications of total thyroidectomy include all except:
1. Hoarseness
2. Airway obstruction
3. Hemorrhage
4. Hypercalcemia

Correct answer: 4. Hypercalcemia

Explanation: Ans. (d) HypercalcemiaRef: Schwartz 10th edition page 1372* Hypocalcemia can happen on 2- 5 days after surgery due to vascular compromise for parathyroid glands